Maltess cross seen on polarizing microscopy in aEUR'
1. Cryptococeus neoformans
2. Penicillium marneffi
3. Blastomyces
4. Candida albicans

Correct answer: 1. Cryptococeus neoformans

Explanation: Cryptococcus neoformans Maltese cross in Cryptococcus On polarized light the spores in Cryptococcus gives "maltese cross" appearance. Maltese cross in Babesiosis Human babesiosis is an intreerythrocytic infection caused by protozoal parasites Babesia microti. It is transmitted by ticks. Babesia have a complex life cycle that involves a sexual reproduction in the erythrocytes of mammalian host and sexual reproduction in arthropod vectors. Within the human R.B.C. the trophozoites reproduce by budding rather than schizogony. They undergo two successive divisions. - The .four resulting nuclei remain in close proximity and this merogoite tetrad .form is described as the "maltese cross" Maltese cross is a characteristic of parasite that helps to distinguish Babesia from malaria. Also know Lipid droplets in urine in patients with glomerular disease act as liquid crystals and show maltese cross on polarizing microscopy.